During autopsy for virology study which agent is used for storing tissue -
1. Sodium chloride
2. Alcohol
3. Spirit
4. 50% glycerin

Correct answer: 4. 50% glycerin

Explanation: In autopsy in virological disease universal work precautions have to be followed and specimens are stored in 50% glycerine. Dr. Narayana Reddys Synopsis of Forensic Medicine & Toxicology 27 th edition pg. 60.